Vagal stimulation of heart causes? (irrelevant to pharmacology)
1. Increased heart rate
2. Increased RR interval in ECG
3. Increased cardiac output
4. Increased force of contraction

Correct answer: 2. Increased RR interval in ECG

Explanation: Increased RR interval is seen in ECG on vagal stimulation. Normal values for waves and intervals are as follows: RR interval: 0.6-1.2 seconds. P wave: 80 milliseconds. ... QT interval: 420 milliseconds or less if the heart rate is 60 beats per minute (bpm) Ref: KD Tripathi 8th ed.